Thymus glands are derived from:
1. I pharyngeal pouch
2. II pharyngeal pouch
3. III pharyngeal pouch
4. IV pharyngeal pouch

Correct answer: 3. III pharyngeal pouch